Millenium Development Goal related to maternal health is
1. Goal 1
2. Goal 5
3. Goal 3
4. Goal 7

Correct answer: 2. Goal 5

Explanation: Ref:Park's Textbook of Preventive and Social Medicine 25th Ed